Severe mental retardation is -
1. 50-70
2. 35-50
3. 20-35
4. <20

Correct answer: 3. 20-35

Explanation: Ans is 'c' i.e. 20 - 35 o Normal IQ - 90-109;o Borderline IQ - 70-89;o Mild mental retardation IQ - 50-69;o Moderate mental retardation IQ -35-49;o Severe MR IQ - 20-34;o Profound MR IQ - 0-19.